Mestranol acts as a contraceptive by :
1. Inhibiting FSH secretion
2. Inhibiting LH secretion
3. Inhibiting tubal motility
4. Inhibiting nidation

Correct answer: 1. Inhibiting FSH secretion

Explanation: Inhibiting FSH secretion